Pain at left shoulder tip in a patient with splenic trauma is known as
1. Trosseu sign
2. Kehr's sign
3. Cullen sign
4. Rovsing's sign

Correct answer: 2. Kehr's sign

Explanation: Referred pain is due to irritation of the diaphragm and phrenic nerves by the blood in the peritoneal cavity (hemoperitoneum). Reference SRB edition 5 page no.1196